A 43 year old female presented with galactorrhoea. Her investigations show increased prolactin levels. Which among the following condition CANNOT cause increased prolactin secretion?
1. Dopamine
2. Sleep
3. Pregnancy
4. Stress

Correct answer: 1. Dopamine

Explanation: Prolactin is produced in the lactotroph cells of the anterior pituitary gland. Secretion of prolactin is pulsatile, and it increases with sleep, stress, pregnancy, chest wall stimulation, and trauma. During nipple stimulation and lactation, the mammary nerve gets stimulated secreting prolactin. Hypoglycemia, myocardial infarction, and surgery are some of the stress inducing factors that can elevate serum prolactin while, physical exercise and food ingestion are also potent stimuli for its secretion. Dopamine is the primary neuroendocrine inhibitor of the secretion of prolactin from the anterior pituitary gland and hence causes hypoprolactinemia not hyperprolacinnemia.